25 years old female has palatal ulcer and skin blister most likely diagnosis is –
1. Pemphigus vulgaris
2. Pemphigus foliaceous
3. Dermatitis herpetiformis
4. Pemphigoid

Correct answer: 1. Pemphigus vulgaris

Explanation: Skin blister
Oral mucosa involvement (palatal ulcer)